DNA depended RNA synthesis is inhibited by:
1. Rifampicin
2. Ethambutol
3. Colchicine
4. Chloromycetin

Correct answer: 1. Rifampicin

Explanation: Rifampicin